Treatment with herceptin in breast cancer is indicated for
1. ER receptor +ve tumours
2. PR receptor +ve tumours
3. K : 67 stain +ve tumours
4. Tumours with over-expressed C-erb B-2 protein

Correct answer: 4. Tumours with over-expressed C-erb B-2 protein

Explanation: Treatment with herceptin in breast cancer is indicated for Tumours with over-expressed C-erb B-2 protein it is a inhibitor of C-erb B-2 protein, which is a growth factor receptor also known as Transtuzumab it is currently approved by FDA for use only in metastatic disease ref ;(page no;551) 5th edition of SRB'S Manual of SURGERY